Ureteric peristalsis is due to intact supply of?
1. Sympathetic innervation
2. Parasympathetic innervation
3. Both sympathetic and parasympathetic
4. Intrinsic smooth muscle pacemaker activity of renal calyces.

Correct answer: 4. Intrinsic smooth muscle pacemaker activity of renal calyces.

Explanation: Intrinsic smooth muscle pacemaker activity of renal calyces.As with any other visceral smooth muscle peristaltic contraction in the ureter are enhanced by parasympathetic stimulation and inhibited by sympathetic stimulation.